Most severe form of Ehler Danlos syndrome is
1. Type 1
2. Type 2
3. Type 4
4. Type 8

Correct answer: 3. Type 4

Explanation: Ahrochalasia EDS (aEDS, formerly categorized as types 7A & B) is characterized by severe joint hypermobility and congenital hip dislocation. Other common features include fragile, elastic skin with easy bruising, hypotonia, kyphoscoliosis (kyphosis and scoliosis), and mild osteopenia. Refer robbins 145